Enteroviruses are the causative agent for all of the following clinical manifestations, EXCEPT:
1. Myocarditis
2. Pleurodynia
3. Herpangina
4. Hemorrhagic fever

Correct answer: 4. Hemorrhagic fever

Explanation: Hemorrhagic fever with renal syndrome is not caused by enterovirus but by Hantavirus. Enterovirus belong to picornaviridae family. It is a single stranded positive sense RNA virus. It is classified into four groups: Coxsackievirus group A, group B, Echovirus and Poliovirus. Manifestation of enterovirus infections include: Acute hemorrhagic conjunctivitis Aseptic meningitis Encephalitis Exanthema Generalized disease of the newborn Hand-foot-and-mouth disease Herpangina Myocarditis, pericarditis Paralysis Pleurodynia Pneumonia Ref: Viruses and Human Disease By James H. Strauss, Page 67 ; Manual of Neonatal Care By John P. Cloherty, 6th Edition, Page 267 ; Harrison's Principles of Internal Medicine, 18th Edition, Chapter 191 ; Ananthnarayan, 5th Edition, Page 460